Retentive grooves in the proximal box of a class II amalgam cavity should be
1. Sharp and elongated at the dentinoenamel junction
2. Round and elongated in the dentin
3. Round and short in the dentin
4. Sharp and elongated in the dentin

Correct answer: 2. Round and elongated in the dentin